Six year old-child was brought to the hospital with obstructed hernia. On exploration, bowel was found gangrenous. Which of the following is true about anastomosis?
1. Should be done by continuous layers as it takes less time
2. Done with catgut
3. Should be done by using single layer seromuscular lambert sutures
4. Single layer taking submucosa

Correct answer: 4. Single layer taking submucosa

Explanation: Intestinal anastomoses: Interrupted and continous single-layer suture techniques are adequate and safe. --Bailey 27th edition pgno: 98 However, Halsted favoured a one-layer extramucosal closure, and this was subsequently advocated by Matheson as it was felt to cause the least tissue necrosis or luminal narrowing. This technique has now become widely accepted, although it is essential that this is not confused with a seromuscular suture technique. The extramucosal suture must include the submucosa as this has a high collagen content and is the most stable suture layer in all sections of the gastrointestinal tract. - Bailey 27th edition pgno: 98